The process increasing the ability for phagocytosis of foreign bodies by body is called -
1. Cross reactivity
2. Opsonisation
3. Immune Tolerance
4. Immune Surveillance

Correct answer: 2. Opsonisation

Explanation: The process of phagocytosis is further enhanced when microorganisms are coated with specific proteins, opsonins from the serum. This process is called opsonization. Opsonins establish a bond between bacteria and bacteria and the membrane of the phagocytic cell. Reference:: Harsh Mohan textbook of pathology, 7th edition, pg no:121